All of the following are characterisitic features of petitmal siezures except -
1. Short duration of seizures
2. Absence of motor activity during the seizures
3. On set after the age of 14 years
4. 3 Hz spike and wave pattern in EEG

Correct answer: 3. On set after the age of 14 years